Gene mutation in AML with poor prognosis all except:
1. FLT3 gene
2. WT-1
3. NPM1
4. MLL

Correct answer: 3. NPM1

Explanation: Ans. C. NPM1ExplanationAssociated with worse prognosis:FLT3-ITDKITMLL-PTDWT-1Associated with favorable prognosis:CEBPANPM1